Superficial heat therapy among the following
1. Infrared lamp
2. Microwave diathermy
3. Ultrasonic therapy
4. Shortwave diathermy

Correct answer: 1. Infrared lamp